Which one is not true regarding GI tuberculosis?
1. Formation of transvere ulcer .
2. Common site ileocecal region
3. Obtuse ileocecal angle is seen .
4. Surgical management is treatment of choice

Correct answer: 4. Surgical management is treatment of choice

Explanation: GASTROINTESTINAL TUBERCULOSIS Mycobacterium tuberculosis. Formation of Transverse ulcer in ileum (longitudinal ulcers are seen in Typhoid) MC site is terminal ileum and ileocecal junction On Barium meal follow through In GI TB - contraction of mesocolon causes pulled-up cecum which is seen as Obtuse I/C Angle (Goose Neck Deformity) Treatment - ATT